Congenital toxoplasmosis false is -
1. IgA is better than IgM in detection
2. Diagnosed by detection of IgM in cord blood
3. IgG is diagnostic
4. Encephalitis is uncommon (rare) in immunocompetent individuals

Correct answer: 3. IgG is diagnostic